Gastric lavage is contraindicated in which of the following:
1. Kerosene poisoning
2. Iron toxicity
3. Organophosphorus poisoning
4. Acetaminophen poisoning

Correct answer: 1. Kerosene poisoning

Explanation: Ans. A. Kerosene poisoningGastric lavage is a technique for stomach emptying that theoretically allows direct irrigation and removal of unabsorbed toxin from the stomach. Gastric lavage is indicated in those patients who ingest highly toxic substances and are brought to the emergency department soon after ingestion. Hydrocarbon ingestion is a contraindication for the use of gastric lavage due to increased risk of aspiration.